Which of the following is more prone to Carcinoma?
1. Barret esophagus
2. Boerhaave syndrome
3. Mallory Weiss tear
4. Esophageal varices

Correct answer: 1. Barret esophagus

Explanation: Ans. (a) Barrett esophagusRef: Bailey & Love 26th ed. ch 62! 1000* Barrett's metaplasia, endoscopically recognized by tongues of reddish mucosa extending proximally from the gastroesophageal junction or histopathologically by the finding of specialized columnar metaplasia (intestinal type with goblet cells), is associated with at least a 20- fold increased risk for development of esophageal development of adenocarcinoma.